Spongy appearance with central sunburst calcification is seen in –
1. Pancreatic adenocarcinoma
2. Mutinous cyst adenocarcinomas
3. Somatostatinoma
4. Serous cystadenoma

Correct answer: 4. Serous cystadenoma

Explanation: "The serous cystadenoma, or microcystic adenoma, is a benign tumor of elderly women, presenting with vague abdominal symptoms. A large calcified mass is often seen, with the calcification having a characteristic sunburst pattern within a central fibrotic scar".